Pouch of Douglas is situated between
1. Bladder and the uterus
2. Bladder and public symphysis
3. Bladder and the rectum
4. Uterus and rectum

Correct answer: 4. Uterus and rectum

Explanation: The recto-uterine pouch or pouch of douglas is the extension of the peritoneal cavity between the rectum and the posterior wall of the uterus in the female human body. imageref - semantischolar.org